Obstetric care will mostly effect
1. Infant mortality rate
2. Late neonatal mortality rate
3. Early neonatal mortality rate
4. Perinatal mortality rate

Correct answer: 4. Perinatal mortality rate

Explanation: Ref:Park's Text book of Preventive and Social Medicine 25th ed